The absorption of Inorganic Iron is enhanced by all except:
1. Alcohol
2. Vitamin C
3. Calcium
4. Fructose

Correct answer: 3. Calcium

Explanation: Inorganic iron is absorbed in the Fe 2+ (reduced) state, and hence, the presence of reducing agents  enhances absorption. 
The most eﬀective compound is vitamin C, and while intakes of 40 to 80 mg of  vitamin C per day are more than adequate to meet requirements, an intake of 25 to 50 mg per meal  enhances iron absorption, especially when iron salts are used to treat iron deﬁciency anemia. 
Alcohol  and fructose also enhance iron absorption. Heme iron from meat is absorbed separately and is  considerably more available than inorganic iron.

Key Concept:
The absorption of both inorganic and  heme iron is impaired by calcium—a glass of milk with a meal signiﬁcantly reduces iron availability.
HARPERS ILLUSTRATED BIOCHEMISTRY30th ed .page no.541